In Gonorrhea, the selective media is
1. Thayer-Martin medium
2. Thioglycolate medium
3. Nutrient broth
4. Mackonkey's medium

Correct answer: 1. Thayer-Martin medium

Explanation: (A) Thayer-Martin medium # Gonococci are more difficult to grow than meningococci. They are aerobic but may grow anaerobically also. Growth occurs best at pH 7.2-7.6 and at a temperature of 35-36 degC. It is essential to provide 5-10% CO2. They grow well on chocolate agar and Mueller-Hinton agar. A popular selective medium is the Thayer-Martin medium (containing vancomycin, colistin and nystatin) which inhibits most contaminants including nonpathogenic neisseria.